Green strength with reference to plaster means
1. Dry strength
2. Compressive strength
3. Strength of dental stone due to green colour
4. The wet strength

Correct answer: 4. The wet strength

Explanation: Two strength properties of gypsum are reported:

Wet strength (also known as green strength),.
Dry strength.

The wet strength is the strength that is determined when water in excess of that required for hydration of the hemihydrate remains in the test specimen. When such excess water is removed by drying, the strength obtained is the dry strength. The dry strength may be two or more times as high as the wet strength. Consequently, the distinction between the two is of considerable importance.
Phillips Science of Dental Materials ed 12 pg 188